For myositis ossificans, main cause is?
1. Infection
2. Hereditary
3. Benign pathology
4. Trauma

Correct answer: 4. Trauma

Explanation: Myositis ossificans progressive is a disease of unknown etiology characterised by formation of fibrous tissue and bone within interstitial tissues of muscles, tendons, fascia, ligaments, aponeurosis and even the skin. Most cases of myositis ossificans occur as a result of trauma, and thus the main demographic is young adults.